WHO recommended Artemisinin combination therapy include?
1. Atremether plus proguanil
2. Artesunate plus doxycycline
3. Artesunate plus piperaquine
4. Dihydroartemisnin plus piperaquine

Correct answer: 4. Dihydroartemisnin plus piperaquine

Explanation: Artesunate plus mefloquine,artemether plus lumifantrene, artesunate plus mefloquine, artesunate-sulfodoxine-pyremethamine, dihydroartemisnin- piperaquineRef: CMDT 2010/13565